Symptoms of cystitis are the following except:
1. Fever
2. Hematuria
3. Dysuria
4. Nocturia

Correct answer: 1. Fever

Explanation: Ans. (a) FeverRef: Campbell Urology 11th 250* Cystitis is usually associated with dysuria, frequency and urgency.* Suprapubic pain and hematuria are less common* Fever is not present.